Sperm acquires motility in:
1. Seminal vesicle
2. Testes
3. Epididymis
4. Ejaculatory duct

Correct answer: 3. Epididymis

Explanation: Formation of sperm: Seminiferous tubules spermatid - spermatozoa Storage and motility: Epididymis After 48 hr. in epididymis, spermatozoa develop the capability of motility. Although, several inhibitory proteins in the epididymal fluid still prevent final motility until after ejaculation. Maturation: After ejaculation, the sperm become motile and capable of fertilizing the ova. This process is k/a maturation. Capacitation: Activation of sperm for final process of fertilization, after coming in contact with fluids of the female genital tract.